Mark the FASLE statement related to tracheostomy
1. Only indication for high tracheostomy is laryngeal carcinoma
2. Pneumothorax is complication of mid and low tracheostomy
3. In Vocal cord palsy and subglottic stenosis mid tracheostomy is planned
4. Most commonly performed tracheostomy is low-tracheostomy

Correct answer: 4. Most commonly performed tracheostomy is low-tracheostomy

Explanation: TYPE SITE INDICATION COMPLICATIONS High tracheostomy Above level of thyroid Isthmus (Between I & II tracheal Ring) Carcinoma larynx Perichondritis of cricoid cartilage and subglottic stenosis Mid tracheostomy Through II or III ring, at level of thyroid Isthmus Elective indication Less chance of perichondritis, stenosis & pneumothorax Low tracheostomy Below the level of isthmus (Between III & IV Tracheal Ring) Laryngeal papilloma/ Permanent tracheostoma Pneumothorax Only indication for high tracheostomy is laryngeal carcinoma Vocal cord palsy and subglottic stenosis are planned for mid tracheostomy Most commonly performed tracheostomy is mid-tracheostomy